Naturally occurring LA –
1. Cocaine
2. Lidocaine
3. Bupivacaine
4. Tetracaine

Correct answer: 1. Cocaine

Explanation: Cocaine is the only naturally occuring local anaesthetic, obtained from leaves of Erythroxylon coca.